Which of the following is/are not the cause of hypopigmentation:
1. Leprosy
2. Pinta
3. Syphilis
4. None

Correct answer: 4. None

Explanation: D i.e. None